Buerger's disease is associated with -a) Smokingb) Poor nutritionc) Alcohold) Prolonged standinge) Superficial thrombophlebitis
1. a
2. b
3. ae
4. ad

Correct answer: 3. ae